All are true about ansverse fracture of temporal bone except:
1. Facial nerve commonly involved
2. Sensorinueral deafness
3. Conductive deafness
4. These fractures are less common

Correct answer: 3. Conductive deafness

Explanation: Transverse fracture of temporal bone
facial nerve palsies (disruption of fallopian canal containing the facial nerve)
sensorineural hearing loss (disruptionof vestibulocochlear nerve)
vertigo
injury to the internal carotid artery and/or jugular vein
fracture through the tegmen tympani results in CSF otorrhoea